Which of the following factors will not influence the rate at which a meal will leave the stomach?
1. Acidification of the duodenum.
2. Increasing the tonicity of the intestine.
3. Saline in the duodenum.
4. Lipid in the intestine.

Correct answer: 3. Saline in the duodenum.

Explanation: Fat in the intestine, low pH, and increased osmolarity of intestinal contents will reduce gastric emptying. This reflex is mediated through neuronal and endocrine factors comprising the enterogastric reflex. Saline in the intestine will not affect gastric emptying.